Hypoglycemia in neonates occurs in blood glucose less than
1. 20 mg%
2. 40 mg%
3. 60 mg%
4. 10mg%

Correct answer: 2. 40 mg%

Explanation: B. i.e. (40%) (177 - Ghai 6th) (155. Ghai 7th)NEONATAL HYPOGLYCEMIA is defined as blood glucose of less than 40 mg/dL irrespective of the gestational age* Early transitional adaptive hypoglycemia occurs in LBW and babies of diabetic mothers* Classical transient neonatal hypoglycemia is observed in infants with small for gestational age infants* Recurrent severe hypoglycemia is caused by enzymatic or metabolic defectsClinical features* Sweating, tremors, Jitteriness and tachycardia, Diminished utilization of glucose in the cerebrum manifests as lethargy or irritability , restlessness, disturbance in sensorium and convulsions* Hypercalciuria is said to be present in children if daily calcium excretion in urine is more than 4 mg/ kg* Total body water of newborn is 80% of body weight**** Cardiac out put of a normal newborn is 350 ml/kg/ml